Fatty acid synthesis and degradation are similar in that both processes
1. Take place in the mitochondrion
2. Use acyl CoA-thioesters
3. Use NADPH or NADP as a cofactor
4. Have malonyl CoA as an intermediate

Correct answer: 2. Use acyl CoA-thioesters

Explanation: Although fatty acid biosynthesis and degradation are different processes, both are initiated by forming an acyl CoA intermediate. The synthetic process is said to start in the cytosol when acetyl CoA is formed from citrate, which is cleaved by citrate lyase. The degrading process starts when the free fatty acid is transported into a cell and is converted into the CoA derivative by fatty acid CoA synthetase (thiokinase). In degradation, the fatty acid is transported into the mitochondrion using the carnitine shuttle, where the CoA derivative is reconstituted and subjected to -oxidation, in which the various acyl moieties are always maintained as the CoA derivative. The reducing equivalents obtained by oxidation of the acyl chain are transferred onto NAD+ or FAD to form NADH or FADH2. These cofactors then pass their electrons to the electron transport chain NADH and succinate dehydrogenase, respectively. Thus, most -oxidation takes place in the mitochondrial matrix in juxtaposition to the electron transport system. In synthesis, which takes place entirely in the cytosol and uses NADPH as the source of reducing equivalents, the acetyl CoA is transformed to malonyl CoA by a biotin requiring carboxylation reaction, the rate-limiting and regulated reaction in the synthetic sequence. The malonyl moiety of malonyl CoA is transferred to another - SH group on an acyl carrier protein that is part of the fatty acid synthase complex. The acyl chain then grows in two-carbon increments by the addition of an acetate moiety from acetyl CoA Ref : Biochemistry by U. Satyanarayana 3rd edition Pgno : 287